High - resolution CT of the lung is a specialized CT technique for greater detail of lung parenchyma and it utilizes -
1. Special lung filters
2. Thick collimation
3. Bone algorithm for image reconstruction
4. Large field of view

Correct answer: 3. Bone algorithm for image reconstruction

Explanation: Principles of HRCT are:-

             i)  Narrow beam collimation (thin collimation)
             ii)  High-frequency reconstruction algorithm, e.g. bone algorithm
             iii) Small field of vision